Most common diaphragmatic hernia in a newborn infant:
1. Bochdalek
2. Morgagni
3. Paraesophageal type I
4. Paraesophageal type III

Correct answer: 1. Bochdalek

Explanation: Bochdalek hernias a.k.a posterolateral hernias make up 85% of congenital hernias. -occur on the left side 80% of the time - Triad of CDH Respiratory distress Dextrocardia Scaphoid Abdomen